Which of the following is k/a dangerous zone of eye-
1. Sclera
2. Retina
3. Optic nerve
4. Ciliary body

Correct answer: 4. Ciliary body

Explanation: Ans. is 'd' i.e. Ciliary body Wound involving the ciliary body are most prone to develop sympathetic ophthalmitis, thus ciliary region is k/a the dangerous zone of the eye.